A patient presents with a wound on his leg. It heals six weeks later. Which of the following mediators is involved in promoting wound healing?
1. TGF -Beta
2. TNF-Alpha
3. INF-Beta
4. IFN-Alpha

Correct answer: 1. TGF -Beta

Explanation: TGF b (Transforming growth factor b) was responsible for the wound healing. It inhibits T- and B-cell proliferation. It acts as a growth factor for fibroblasts and also promotes class switching of B cells to IgA. TGF b is produced by T and B cells. IL-10 is also involved in wound healing and suppression of inflammation. IFN a inhibits viral replication, activate NK cells, and regulates the activity of macrophages and T cells. TNF a is involved in tumour cytotoxicity, phagocytic cell activation, antiviral and antiparasitic effects. it is an acute phase protien. INF b has antiviral activity. Reference: Ananthanarayan and Paniker's Textbook of Microbiology Tenth edition